Blackfoot disease is caused by:
1. Arsenic
2. Cadmium
3. Lead
4. Mercury

Correct answer: 1. Arsenic

Explanation: Ans. Arsenic